Decorticate child - Flase statement is ?
1. Acute Brain injurys
2. Susthalamic, CT & frontal lobe lesion
3. More dangerous than decerebrate lesion
4. Flexion of arm & extension of lower limb

Correct answer: 3. More dangerous than decerebrate lesion

Explanation: Ans. is 'c' i.e., More dangerous than decerebrate lesion Decortical Posture o Also known as flexor posturing or Mummy baby o Arms flexed/bent over chest, hand fisted, leg extended & rotated inward o Damage to area in cerebral hemisphere, internal capsule, thalamus & upper part of brain. o Decorticate posture is ominous sign of severe brain damage. Decerebrate posture o Also known as extensor posturing o Extension of upper limb & lower limb (ELBOW EXTENDED) o Indicates brain stem damage (Below level of red nucleus) o Decerebrate posture is more ominous than decortical posture